X-ray of a child's arm after a fall appears to show a fracture near, but not at, distal end of the ulna. Before diagnosing a fracture, you should also consider the possibility that this is actually which of the following?
1. Articular cartilage
2. Epiphyseal plate
3. Perichondrium
4. Primary ossification center

Correct answer: 2. Epiphyseal plate

Explanation: The epiphyseal plate of the bone contains cartilage that is radiolucent. The plate in a bone that is not yet fully ossified can produce a "line" crossing the bone near the end. This may be easily mistaken for a fracture by the inexperienced. Anatomically, the epiphyseal plate separates the epiphysis from the diaphysis.